Abruptio placentae is one form of antepartum hemorrhage. Which among the following is the clinical classification system for abruptio placentae?
1. Macafee regimen
2. Johnson regimen
3. Apt test
4. Page classification

Correct answer: 4. Page classification

Explanation: Page clinical classification of abruptio placentae: Grade 0: Clinical features may be absent. The diagnosis is made after inspection of placenta following delivery. Grade 1: (i) External bleeding is slight. (ii) Uterus - irritable, tenderness may or may not be present. (iiii) Shock is absent. (iv) FHS is good. Grade 2: (i) External bleeding mild to moderate. (ii) Uterine tenderness is always present. (iii) Shock is absent. (iv) Fetal distress or even fetal death occurs. Grade 3: (i) Bleeding is moderate to severe or may be concealed. (ii) Uterine tenderness is marked. (iii) Shock is pronounced. (iv) Fetal death is the rule. (v) Associated coagulation defect or anuria may complicate. Ref: Textbook of Obstetrics by D.C. Dutta, 6th edition, Page 256, 257.